Chemical mumps' is synonymous with
1. Epidemic parotitis
2. Iodine mumps
3. Nutritional mumps
4. Nonspecific mumps

Correct answer: 2. Iodine mumps